Exocytosis:
1. Is a calcium dependent process
2. Can be constitutive or non-constitutive
3. Requires SNARE proteins
4. All of the above

Correct answer: 4. All of the above

Explanation: Exocytosis is a calcium dependent process. In non-constitutive exocytosis, secretory product after synthesis and processing in the RER and GA, is stored in the cytoplasm in secretory granules until an appropriate signal for secretion is received In constitutive exocytosis, prompt transport of secretory product to the cell membrane in vesicles occurs with little or no processing or storage SNARE proteins that are involved in exocytosis